Which is not true about hepatitis B virus
1. DNA virus
2. Transmitted by feco-oral route
3. Can be transmitted from mother to child
4. Contains reverse transcriptase

Correct answer: 2. Transmitted by feco-oral route

Explanation: HBV is a bloodborne virus and infection is transmitted by parenteral, sexual and perinatal modes. The viral genome consists of partially double-stranded circular DNA. It has reverse transcriptase REF:ANANTHANARAYAN AND PANIKER'S TEXTBOOK OF MICROBIOLOGY 9TH EDITION PAGE NO-545